In DNA, the coding region reads 5'-CGT-3'. This would code in the RNA as:-
1. 5'-CGU-3'
2. 5'-GCA-3'
3. 5'-ACG-3'
4. 5-UGC-3'

Correct answer: 1. 5'-CGU-3'

Explanation: Ans. is 'a' 5-CGU-3' . In the transcription of DNA to RNA, RNA is synthesized in 5.1-31 direction against the template strand (not the coding strand) In a double-stranded DNA, there are 2 strands. The coding strand Codes of this strand will be transferred or transcripted to the RNA Template strand the RNA is synthesized against this strand in 5'-3' direction Here in this patient: The coding strand reads 5'-CGT-3' So the template strand would be 3* GCA 5' ('G' is the corresponding base pair of 'C ', 'A' is of 'T'). Now the RNA will be synthesized against the template strand. So the corresponding bases on RNA will be -5'-C GU-3' ('U' is the corresponding base pair of A in RNAs. There is no 'T' base pair in RNAs). Hint: If this question is repeated as such, with only change of codons, apply this short-cut method. the codons in the RNA strand would be same as the codons in the coding strand of DNA, with only change of 'U' in place of 'T'